Under-running may involve:
1. Crush injury abdomen
2. Run over injury
3. Decapitation
4. Chest injury

Correct answer: 3. Decapitation

Explanation: Under-running/ tail gating Tail-gating occasionally occurs with cars driving into the back of large trucks. In such case, the windscreen and front of the passenger compartment are smashed with severe injuries to the head and in some cases decapitation of the occupants of the front seat. Also seen where the motorcyclist drives under the rear of the truck, causing head injuries and even decapitation.